Angular conjunctivitis is usually caused by?
1. Staphylococcus aureus
2. Streptococus pneumonae
3. Chlamydia trachomatis
4. Moraxella lacunata

Correct answer: 4. Moraxella lacunata

Explanation: Ans. D. Moraxella lacunata.(Ref Parsons' diseases of Eye 21st/pg. 168, 175)Angular conjunctivitis (diplobacillary conjunctivitis)# may be caused by staphylcocci but is typically due to Moraxella lacunata, a diplobacillus consisting of pairs of large, thick rods, placed end to end which stain well with basic stains, are gram negative.# They produce proteolytic ferment, which act by macerating the epithelium.# The incubation period is 4 days.# The diplobacilli are strongly resistant to drying.They have been found in nasal tract of healthy persons, and are often present in nasal discharge in cases of angular conjuctivitis.C/f and clinical course:# Reddening of the conunctiva is limited almost exclusively to the intermarginal strip, especially at the inner and outer canthi, and to the neighbouring bulbar conjunctiva.# excoriation of skin at the inner and outer palpabral angles, may be a mere scruffiness, but is always present.# There is discomfort, with slight mucopurulent discharge and frequent blinking.# If untreated, the condition becomes chronic and may give rise to blepharitis.# Clear, shallow, corneal ulcers are rare; are usually marginal, but may be central and asso with hypopyon.# A single attack does not confer immunity, and relapses are not uncommon.Rx:# Tetracycline ointment.# Eye drop containing zinc (inhibits the proteolytic ferment, slowly effective, of great value).